Rytand's murmur is seen in
1. A-V Block
2. Mitral stenosis
3. Aortic stenosis
4. Aortic regurgitation

Correct answer: 1. A-V Block

Explanation: Ans. is 'a' i. e.,A-V Block Rytand Murmur Rytan 's murmur is mid-diastolic (or late-diastolic) murmur that is heard in patients with complete aioventricular heart block. Rytand's murmur is best heard at the apex and may be confused with mitral stenosis. The slow heart rate, variable duration of the murmur changing intensity of the S I and lack of opening snap are helpful Also know Carey Coombs murmur - Rheumatic fever Austin Flint murmur - Aortic regurgitation Graham-Steel murmur - Pulmonary regurgitation Rytands murmur - Complete heart block Docks murmur - Left Anterior Descending (LAD) artery stenosis Mill wheel murmur - Due to air emboli (air in PV cavity)